A recurrent chalazion should be subjected to histopathologic evalution to exclude the possibility of-
1. Squamous cell carcinoma
2. Sebaceous cell carcinoma
3. Malignant melanoma
4. Basal cell carcinoma

Correct answer: 2. Sebaceous cell carcinoma

Explanation: A recurrent chalazion in old age should arouse suspicion of malignant change into meibomian gland adenocarcinoma (Sebaceous cell carcinoma).